Which of the following is the most common adverse effect of omeprazole
1. Nausea
2. Constipation
3. Jaundice
4. Black stools

Correct answer: 1. Nausea

Explanation: PROTON PUMP INHIBITORS (PPIs) Omeprazole Adverse effects:- Nausea, loose stools, headache, abdominal pain, muscle and joint pain, dizziness, Rashes. Leucopenia and hepatic dysfunction are infrequent. On prolonged treatment atrophic gastritis has been reported. Ref:- kd tripathi; pg num:- 653